Most common organism cultured in CSOM is ?
1. Staphylococcus aureus
2. Staphylococcus epidermidis
3. Streptococcus pneumonia
4. Pseudomonas aeruginosa

Correct answer: 4. Pseudomonas aeruginosa

Explanation: Ans. is 'd' i.e., Pseudomonas aeruginosa Microbiology of CSOM Pus culture in both types of aerobic and anaerobic CSOM may show multiple organisms. Most commonly isolated organisms are gram negative bacilli, i.e., Pseudomonas, proteus, E.coli. These organisms are not commonly found in the respiratory tract, while commonly found in the skin of external ear.